Thyrotoxicosis is most commonly associated with
1. Anxiety
2. Paranoid states
3. Mania
4. Delirium

Correct answer: 1. Anxiety

Explanation: (A) Anxiety # ACUTE ANXIETY:# Physical Symptoms:> Motoric Symptoms: Tremors, Restlessness, Muscle twitches, Fearful facial expression> Autonomic & Visceral Symptoms: Palpitation, Tachycardia, Sweating, Flushes, Dyspnea, Hyperventilation, Dry mouth, Frequency and hesitancy of micturition.; Dizziness, Diarrhea, Mydriasis.> Psychic Symptoms: Cognitive Symptoms: Poor concentration, distractibility, Hyperarousal, Vigilance or scanning; Perceptual Symptoms: Derealization, Depersonalization; Affective Symptoms: Diffuse, unpleasant, vague sense of apprehension, Fearfulness, Inability to relax, irritability, Feeling of impending doom (When severe);> Other Symptoms: Insomnia (initial), Exaggerated striate response.